Operation rajkishor was given pilocarphine. All of the following can be the features seen in him except
1. Sweating
2. Salivation
3. Miosis
4. Cycloplegia

Correct answer: 4. Cycloplegia

Explanation: Ref-KDT 6/e p97 Pilocarpine is a direct acting cholinergic drug. It causes meiosis and cyclospam(not cycloplegia). It can increase all secretions of the body.